Uterus bicornis bicollis is characterized by all except
1. Single vagina
2. Two cervix
3. single cervix
4. Two uterus

Correct answer: 3. single cervix